Serum albumin level is component of which of the following scoring system ?
1. Ranson's criteria
2. APACHEII score
3. Child's scroing
4. ASA physical status

Correct answer: 3. Child's scroing

Explanation: The Child-Pugh score is a system for assessing the prognosis -- including the required strength of treatment and necessity of liver transplant -- of chronic liver disease, primarily cirrhosis. It provides a forecast of the increasing severity of your liver disease and your expected survival rate. Ref Davidson 23rd edition pg 615